The average life cycle of cyclops is about -
1. 1 month
2. 2 months Bihar
3. 3 months
4. 4 months

Correct answer: 3. 3 months

Explanation: Cyclops or water flea is crustacean present in collections of fresh water. It's a tiny arthropod just visible to trained eyes. It swims with jerky movements. The life cycle is about 3 months It is an intermediate host of Guinea worm disease. Man acquires infection by drinking water containing infected cyclops. REFERENCE: PARK'S TEXTBOOK OF PREVENTIVE AND SOCIAL MEDICINE, 25TH EDITION, PG NO. 842